Portal triad is not formed by
1. Hepatic artery
2. Portal vein
3. Bile duct
4. Hepatic vein

Correct answer: 4. Hepatic vein

Explanation: Portal triad relation CBD laterally Portal vein posteriorly Hepatic artery medially Mickey mouse view: Ultrasound image of hepatic artery, bile duct and portal vein is in a configuration, referred as Mickey Mouse View Ref: Sabiston 20th edition Pgno : 1421-1422